All of the following antibacterial agents act by inhibiting cell wall synthesis, except :
1. Carbapenems
2. Monobactams
3. Cephalosporins
4. Nitrofurantoin

Correct answer: 4. Nitrofurantoin